In which of the following state, a person is mute and akinetic, but can be awaken and even be alert?
1. Stupor
2. Delirium
3. Twilight state
4. Oneroid state

Correct answer: 1. Stupor

Explanation: Stupor refers to a higher degree of arousability in which the patient can be transiently awakened only by vigorous stimuli, accompanied by motor behavior that leads to avoidance of uncomfortable or aggravating stimuli. Ref: Harrison's Principles Of Internal Medicine 18th edition chapter 274; Localization of Clinical Syndromes in Neuropsychology and Neuroscience By Joseph M. Tonkonogy, page 266.